Caries sicca is seen in
1. Hip
2. Knee
3. Shoulder
4. Metatarsal

Correct answer: 3. Shoulder

Explanation: Caries sicca TB affection of shoulder joint is called caries siccaTypes of caries siccaFeatures Caries siccaCaries exudate Caries mobilePain Considerable Considerable Moderate Swelling Absent Present PresentMuscle wasting Marked Moderate to marked Moderate Movements Absent Absent Limited active with full passive movements X-ray findings Osteoporosis, erosions, narrow fuzzy joint spaces Osteoporosis, erosion of joint spaces with osteolytic lesions Extensive destruction of joint with widened joint space SequelaeFibrous ankylosis Fibrous ankylosis Pseudo-arthrosis (Refer: Mohindra's Fundamentals of Orthopedics, 2nd edition, pg no. 309)